In sickle cell anemia all are true except-
1. Sickle cells
2. Target cells
3. Howell jolly bodies
4. Ringed sideroblast

Correct answer: 4. Ringed sideroblast

Explanation: In sickle cell anemia , the peripheral blood demonstrates numbers of irreversibly sickled cells , reticulocytes and target cells , which results from red cell dehydration.Howell Jolly bodies (small Nuclear remanants)are also present. Ref : Robbins pathologic basis of disease 9th edition: pg636 ;under heading morphology